Which vitamin deficiency is seen in vegetarians especially ?
1. Vitamin B12
2. Vitamin B6
3. Vitamin B3
4. Vitamin B2

Correct answer: 1. Vitamin B12

Explanation: Ans. is 'a' i.e.,Vitamin B12Dietary sources of vitamin B12 are of animal origin only and include meat, eggs, milk, diary products, fish, poultry etc. Vitamin BI2 is absent in plant foods. Small amount of vitamin B 12 is synthesized in the intestine by the action of intestinal flora.